Which Vitamin is excreted in urine
1. Vitamin A
2. Vitamin C
3. Vitamin D
4. Vitamin E

Correct answer: 2. Vitamin C

Explanation: Water soluble vitamins, Vitamin B and Vitamin C are excreted in Urine.